NOT a hybrid muscle among the following is
1. Brachialis
2. Flexor pollicis brevis
3. Sternocleidomastoid
4. Adductor pollicis

Correct answer: 4. Adductor pollicis

Explanation: Nerve supply of above muscles-
Brachialis

Musculocutaneous Nerve and Radial nerve (proprioception)

Flexor pollicis brevis

Superficial head by Median Nerve
Deep head by Ulnar nerve

Sternocleidomastoid

Spinal accessory nerve and C3 , C4

Adductor pollicis

Ulnar nerve